Wool sorter disease is
1. Cutaneous anthrax
2. Pulmonary anthrax
3. Intestinal anthrax
4. Nasal anthrax

Correct answer: 2. Pulmonary anthrax

Explanation: Bacillusanthracis:*First bacterial attenuated vaccine*First pathogenic bacteria seen under microscope*First communicable disease transmitted by infected blood *First bacteria to be isolated in cultureGeneral characteristicsCultural characteristics--Non motile , capsulated , spore producing , gram positive bacilli--Bamboo stick/Box car appearance--Susceptible to g phage --Selective media - PLET medium--Agar plate - Frosted glass appearance--Microscopy - Medusa head appearance--Gelatin stab - Inverted Fir tree appearance--Solid media - String of pearl reaction--Transmitted light - Cut glass appearanceVirulence factorsClinical features--Capsular poly D glutamic acid (poly peptide capsule) - plasmid mediated --Plasmid coded toxins --Factor I - edema factor--Factor II - protective factor--Factor III - lethal factor--CHARBON (Cutaneous anthrax) - painless malignant pustule--Wool sorter disease - pulmonary anthrax--Hide porter disease - cutaneous anthraxDiagnosisTreatment--Mc Faydeans reaction positive--To detect antigen - Ascoli thermoprecipitin test--Epidemiological studies and Strain characterization - Multiple locus variable number tandem repeat analysis & Amplified fragment length polymorphism --DOC - Pencillin --Penicillin allergy - Ciprofloxacin, Erythromycin, Tetracyclin or Chloramphenicol--Live attenuated spore vaccine - Sterne , Mazucchi strains(Ref: Ananthanarayan 9th edition, p247)